A Previa pharyngeal abscess diagnosed as tuberculosis is seen in 44 year old lady with difficulties in deglutition management would be
1. Urgent Drainage
2. Starting of AKT
3. Wait and Eatch
4. Get an MR1 of the cervical Spine

Correct answer: 1. Urgent Drainage

Explanation: Answer- A. Urgent DrainageDevelopment of new neurodeficit or its worsening on AKTReappearance ofprevious neurodeficit on AKTNo improvement in neurodeficit for 4-6 weeksDifficulty in deglutition due to a prepharyngeal abscess